IOC for sub-arachnoid hemorrhage
1. CT scan
2. MRI
3. Lumbar puncture
4. MRA

Correct answer: 1. CT scan

Explanation: Ans. (a) CT scanRef.: Harrison 19th ed. /1786* The diagnosis of subarachnoid hemorrhage (SAH) usually depends on a high index of clinical suspicion combined with radiologic confirmation via urgent computed tomography (CT) scan without contrast.* Traditionally, a negative CT scan is followed with lumbar puncture (LP). However, non-contrast CT followed by CT angiography (CTA) of the brain can rule out SAH with greater than 99% sensitivity.